In which type of memory are basal ganglia involved?
1. Conditioning
2. Procedural
3. Explicit
4. None

Correct answer: 2. Procedural

Explanation: Procedural Memory includes skills and habits, which, once accquired, become unconscious and automatic. This type of memory is processed in the striatum. Implicit Memory/Non-declarative memory: It doesnot require being conscious or awareness. Eg., Remembering how to brush your teeth. They are of 4 types: Procedural memory (skills and habits) in striatum, cerebellum, motor cortex Priming in neocortex Non-associative learning (includes habituation and sensitization, e.g., Byheaing facts) Associative learning: Classical and operant conditioning. Exlicit/Declarative memory: Memory of words, rules, language etc., Associated with consciousness/awareness. Eg., recalling first day in school. They are of two types: Semantic Memory: (Facts) E.g., Knowing capital of India: Parts of brain involved are temporal cortex and pre frontal cortex. Episodic Memory: (Events) E.g., Recalling first day in college: hippocampus, medial temporal lobe and neocortex. Ref: Ganong's Review of Medical Physiology 25th edition Pgno: 283-285